Most common organism causing fungal infection of oral cavity ?
1. Candida
2. Blastomycosis
3. Aspergillosis
4. Cryptococcus

Correct answer: 1. Candida

Explanation: Ans. is 'a' i.e., Candida The most prevalent fungal infections in oral cavity are those caused by Candida species, especially C. albicans. Candidiasis (Moniliasis) Candidiasis is the most common systemic mycosis. Candidiasis is an opportunistic endogenous infection and is the most common fungal infection in neutropenic patients. Candida is the most common fungal infection in immunocompetent persons as well.